All of the following drugs can be used in hypertensive crisis except:-
1. Labetalol
2. Pindolol
3. Nitroprusside
4. Nifedipine

Correct answer: 2. Pindolol

Explanation: Pindolol is non-selective b blocker and not used in hypertensive emergencies. Labetalol is DOC for gestational hypertension as well as hypertensive emergencies in pregnancy. Nitroprusside is DOC for hypertensive emergencies in patients with aortic dissection. Nifedipine can be used rarely for the rapid control of blood pressure but the route of administration is sub-lingual. Nicardipine and Clevidipine are also DOC for hypertensive emergencies. DRUGS USED FOR HYPERTENSIVE EMERGENCIES Group Drugs Vasodilators Sodium NitroprussideNitroglycerineHydralazine Calcium channel blockers NicardipineClevidipineNifedipine Alpha blockers PhentolamineTolazolineUrapidil Beta blockers LabetalolEsmolol ACE inhibitor Enalaprilat D1 agonist Fenoldopam Diuretic Furosemide